Hunger centre of brain is:
1. Hypothalamus
2. Stria nigra
3. Frontal lobe
4. Temporal lobe

Correct answer: 1. Hypothalamus